Not present at the transpyloric level:
1. Neck of pancreas
2. Fundus of stomach
3. Left and right colic flexure
4. L1 veebra

Correct answer: 2. Fundus of stomach

Explanation: Transpyloric plane passes through the tips of the ninth costal cailages on the two sides that is, the point where the lateralmargin of the rectus abdominis (linea semilunaris) crosses the costal margin.The transpyloric plane is clinically notable because it passes through several impoant abdominal structures.These include:Lumbar veebra 1 and hence passes just before the end of the spinal cord in adultsThe fundus of the gallbladderThe neck of the pancreasThe pancreatic bodyThe origins of the superior mesenteric aery from the aoa and poal veinThe left and right colic flexureThe left hilum of the kidneyThe right hilum of the kidneyThe root of the transverse mesocolonDuodenojejunal flexureThe 2' pa of the duodenumThe upper pa of conus medullarisThe spleen